Essential Pentosuria is due to defect in?
1. Glycolysis
2. HMP Shunt
3. TCA Cycle
4. Uronic acid pathway

Correct answer: 4. Uronic acid pathway

Explanation: Affected individuals excrete large amounts of L-xylulose in urine. Xylulose being a reducing sugar gives Benedict's test positive. Bial's test is positive as xylulose is a pentose Reference Harper's Illustrated Biochemistry 30th Edition Pg 205